Structures removed in vertical partial laryngectomy are all except ?
1. True cord
2. Epiglottis
3. Arytenoid
4. Thyroid cartilage

Correct answer: 2. Epiglottis

Explanation: Ans. is'b'i.e., Epiglottis(Ref' ENT by Michaels p' 307Partial Vertical larYngectomY :Used to remove carcinoma confined to or with little spread from the true vocal cord.Structures removed are:Whole vocal cord on the affected side, including the carcinomaIpsilateral arytenoid cartilageAdjacent part of ipsilateral thyroid cartilagePart of the adjacent cricoid cartilage, if there is some subglottic spread.